All are true about levamisole EXCEPT:
1. Act as an immunostimulator
2. Act as an immunodepressor in high doses
3. Single dose is sufficient for the treatment of psoriasis
4. Acts antihelminthic by causing depolarization

Correct answer: 3. Single dose is sufficient for the treatment of psoriasis

Explanation: Levamisole- Active against many nematodes, but use is restricted to ascariasis and ancylostomiasis because the action on other worms is poor. The ganglia in worms are stimulated causing tonic paralysis and expulsion of live worms. Interference with carbohydrate metabolism (inhibition of fumarate reductase)may also contribute. It is an immunostimulant, used for slow spreading vitiligo to be used for at least 6 weeks ESSENTIALs of MEDICAL PHARMACOLOGY SIXTH EDITION -KD TRIPATHI Page 812